"Macropolycyte" in peripheral smear is a feature of
1. Hereditary spherocytosis
2. Iron deficiency anaemia
3. Sickle cell anaemia
4. Megaloblastic anaemia

Correct answer: 4. Megaloblastic anaemia

Explanation: (D) Megaloblastic anaemia # Certain morphologic features are common to all forms of MEGALOBLASTIC ANEMIA.> The peripheral blood reveals marked variation in the size & shape of red cells (Anisocytosis), which are nonetheless normochromic.> Many erythrocytes are macrocytic & oval (macroovalocytes), with mean corpuscular volumes above 100 mm3 (normal, 82 to 92).> Neutrophils too are larger than normal (macro polymorphonuclear) & are hypersegmented, that is, have five to six or more nuclear lobules.